Proteins seen in chromosomes are called:
1. Nucleotides
2. Histones
3. Apoproteins
4. Glycoproteins

Correct answer: 2. Histones

Explanation: Ans: b (Histones) Ref: Vasudevan, 4th ed, p. 398; 5th ed, p. 416* Histones are proteins rich in basic amino acids. DNA wraps around histone octamer to form one nucleosome.* Histones are rich in lysine and arginine.* Histone octamer contains two copies each of histones (H2A, H2B, H3 H4)* H, histone is associated with the linker DNA found between nucleosomes.* Eu chromatin - loosely packed and transcriptionaly active.* Hetero chromatin - tightly packed and inactive.Topo isomearses are enzymes that can change the amount or super coiling.